Foramen of magendie, drains CSF from which midline structure and exits from it:
1. Third ventricle
2. Fourth ventricle
3. Lateral ventricle
4. All of the above

Correct answer: 2. Fourth ventricle

Explanation: Fourth ventricle is the last ventricle in the cerebellum, its T shaped roof has three apertures which communicates with the subarachonoid space. Foramen of magendi a median aperture is present doraslly in the roof, it communicates with the cisterna magna. Foramen of luschka is a lateral aperture which is present on right and left side. It drains into the cerebellopontine angle cistern. Ref: Human Anatomy By B.D Chaurasia, 4th edition, Vol 3, Page 341